Congenital 17-hydroxylase deficiency leads to hypertension due to accumulation of?
1. Deoxycorticosterone
2. Cortisol
3. 17 hydroxy pregnediol
4. 17 hydroxy progesterone

Correct answer: 1. Deoxycorticosterone

Explanation: * Two forms of adrenal hyperplasia (ie, 11-hydroxylase and 17-hydroxylase deficiency) result in hypertension due to the accumulation of supraphysiologic concentrations of deoxycorticosterone. * This weak mineralocorticoid has little consequence at physiologic concentrations but causes sodium retention and hypertension at the supraphysiologic concentrations that occur in these conditions.